All of the following are true regarding chronic myeloid leukemia, except?
1. Philadelphia chromosome
2. Tyrosine kinase inhibitors (TKIs) are the drug of choice
3. Most cases present in blast phase
4. Sea-blue histiocytes are seen in the bone marrow

Correct answer: 3. Most cases present in blast phase

Explanation: Chronic myeloid leukemia Most common myeloproliferative neoplasm Caused by reciprocal translocation between between long arms of chr 9 & 22 giving rise to shortened chromosome 22 which is referred to as Philadelphia chromosome (Ph chromosome). Most cases present in chronic phase Patient present with hyperleucocytosis, massive splenomegaly Bone marrow is hypercellular with granulocytic hyperplasia. Sea-blue histiocytes can be seen. After a variable period, some patients may transform to accelerated phase or blast crisis. Tyrosine kinase inhibitors are the drug of choice, eg. Imatinib, Dasatinib, etc.